Onion ring Appearance is seen in
1. Lamellar Cataract
2. Capuliform
3. Myotonic dystrophy
4. Posterior polar Cataract

Correct answer: 4. Posterior polar Cataract

Explanation: Onion ring/whorled Appearance  seen in Posterior polar Cataract.